All are steroids except
1. Testosterone
2. Vitamin D
3. Cholesterol
4. Thyroxine

Correct answer: 4. Thyroxine

Explanation: Ref: Textbook of Medical Biochemistry, 8th Edition, Dr (Brig) MN Chatterjea, Rana Shinde, page no: 589,590